Tzanck smear test is used in the diagnosis of
1. Pemphigus
2. ANUG
3. Apthous disease
4. Lichen planus

Correct answer: 1. Pemphigus

Explanation: Tzanck test is also used for diagnosis of viral diseases like Herpes Zoster.